What is the power of a lens if the focal length is 0.75m?
1. 1 D
2. 1.3 D
3. 2 D
4. 2.3 D

Correct answer: 2. 1.3 D

Explanation: Power = 1/Focal length
= 1/0.75
= 4/3
= 1.3D